Test of detecting damage to cochlea is
1. Caloric test
2. Weber test
3. Rinnie's test
4. ABC test

Correct answer: 4. ABC test

Explanation: Bone conduction is a measure of cochlear function. In ABC test: Patient's bone conduction is compared with that of the examiner (presuming that the examiner has normal hearing). In conductive deafness, the patient and the examiner hear the fork for the same duration of time. In sensorineural deafness, the patient hears the fork for a shorter duration. Ref: Dhingra; 6th Edition; pg no 22